Incidence of disease among exposed divided that of non exposed is equal to
1. Relative risk
2. Attributable risk
3. Odd ratio
4. None of the above

Correct answer: 1. Relative risk